Anemia in Wilson disease is due to which of the following reasons?
1. Blood loss anemia due to small superficial ulcerations all over GI tract
2. Due to the large amount of copper released into blood stream causing hemolysis
3. Copper induced bone marrow suppression
4. Relative deficiency of iron in serum due to low ceruloplasmin

Correct answer: 2. Due to the large amount of copper released into blood stream causing hemolysis

Explanation: Hemolytic anemia may occur because large amounts of copper derived from hepatocellular necrosis are released into the bloodstream. Reference: Harrisons Principles of Internal Medicine, 18th Edition, Page 3188